Acute humoral renal transplant rejection is characterized by the following except ?
1. Presence of anti-donor antibodies
2. Interstitial and tubular mononuclear cell infiltrate
3. Necrotizing vasculitis
4. Acute cortical necrosis

Correct answer: 2. Interstitial and tubular mononuclear cell infiltrate

Explanation: Ans. is 'b' i.e., Interstitial and tubular mononuclear cell infiltrate